All are features of atypical depression except?
1. Increased appetite and increased sleep
2. Sad most of the time and becomes happy on hearing good news
3. Weaknesses of limbs
4. Better response to TCAs than SSRIs

Correct answer: 4. Better response to TCAs than SSRIs

Explanation: Ans. D. Better response to TCAs than SSRIsWith atypical features: This specifier can be applied when these features predominate during the majority of days of the current or most recent major depressive episode or persistent depressive disorder.A. Mood reactivity (i.e., mood brightens in response to actual or potential positive events).B. Two (or more) of the following:1. Significant weight gain or increase in appetite.2. Hypersomnia.3. Leaden paralysis (i.e., heavy, leaden feelings in arms or legs).4. A long-standing pattern of interpersonal rejection sensitivity (not limited to episodes of mood disturbance) that results in significant social or occupational impairment.C. Criteria are not met for "with melancholic features" or "with catatonia" during the same episode.